Which of the following is seen in torsades de pointes
1. Hypermagnesemia
2. Short QRS complex
3. Prolonged QTc interval
4. PQ segment

Correct answer: 3. Prolonged QTc interval

Explanation: Torsades de pointes is a complication of prolonged ventricular repolarisation(prolonged QT interval. QT interval >0.44sec in men, >0.46sec in women. Reference: Harrison 20th edition pg 1445